Centre controlling vomiting:
1. Apneustic centre
2. Pneumotaxic centre
3. Area Postrema
4. Hypothalamus

Correct answer: 3. Area Postrema

Explanation: The sensory signals that initiate vomiting originate mainly from the pharynx, esophagus, stomach, and upper portions of the small intestines. The nerve impulses are transmitted by both vagal and sympathetic afferent nerve fibers to multiple distributed nuclei in the brain stem, especially the area postrema, that alltogether are called the "vomiting center."